Meckel's diverticulum true is
1. Is Acquired diverticulum
2. Is A true diverticulum
3. Seen in jejunum
4. Seen in mesenteric side

Correct answer: 2. Is A true diverticulum

Explanation: (B) Is A true diverticulum # MECKLE'S DIVERTICULUM is a diverticulum of the mid gut. Superior mesenteric artery is also the artery of the mid gut and it supplies the Meckle's diverticulum.> Few facts about Meckle's diverticulum: Present in 2% of population Located at 2 feet (60 cm) from the ileocecal valve 2 inches in length (3-5 cm) It has all three coats of intestinal wall and has its own blood supply Most common congenital anomaly of small intestine, occurring in approximately 2% of the population. Located at the antimesenteric border of the ileum 45 to 60 cm (2 feet) proximal to the ileocaecal valve and results from incomplete closure of the omphalomesenteric or vitelline duct. Usual clinical manifestation results from wide-mouth diverticulum measuring approximately 5 cm in length with a diameter up to 2 cm. Lining cells are commonly similar to gastric mucosal cells (50% of all Meckle's diverticulum). Pancreatic mucosa is encountered in approximately 5% diverticula and less commonly harbor colonic mucosa. Most common clinical presentation of Meckle's diverticulitis is gastrointestinal bleeding. Other symptoms may be of intestinal obstruction, intussusception or rarely incarceration of the diverticulum in an inguinal hernia (Littre's hernia). Single most accurate diagnostic test for Meckle's diverticulum is scintigraphy with sodium 99mTc-pertechnetate. Plain abdominal radiograph, CT, Ultrasonography are rarely helpful. Treatment - prompt surgical intervention with resection of the segment of ileum bearing the diverticulum.